Liver transplant for which of the following conditions will need duct to jejunal anastomoses rather than duct to duct anastomoses?
1. Alagille syndrome
2. Primary sclerosing cholangitis
3. Liver cirrhosis
4. Primary biliary cirrhosis

Correct answer: 2. Primary sclerosing cholangitis

Explanation: Ans. (b) Primary sclerosing cholangitisRef: Bailey and love, 27th edition, Page 1554* Biliary drainage by choledocho choledochostomy (Bile duct to Bile duct) usually* Choledochojejunostomy is done for patients in whom Transplant done for PSC or biliary atresia where host duct is unsuitable.